Which of the following is a content of dentinal tubules
1. Odontoblastic process
2. Afferent nerve terminal
3. Dendrites of Antigen presenting cells
4. All

Correct answer: 4. All

Explanation: Contents of Dentinal tubule

Odontoblastic process
Afferent Nerve terminal
Dendrites of antigen presenting cell
Dentinal fluid
intratubular dentin